Type-I hypersensitivity is mediated by which of the following immunoglobulins:
1. IgA
2. IgG
3. IgM
4. IgE

Correct answer: 4. IgE

Explanation: IgE